Cloudy cornea is a feature of –
1. Hurler's disease
2. Morquio's disease
3. Maroteaux Lomy disease
4. All of the above

Correct answer: 4. All of the above